Rhinopyma is (Potate nose) –
1. Septal deviation of nose
2. Sweat gland hypertrophy
3. Mucous gland hypertrophy
4. Sebaceous gland hypertrophy

Correct answer: 4. Sebaceous gland hypertrophy